The following amino acids are excreted in urine in maple syrup disease, EXCEPT:
1. Valine
2. Leucine
3. Isoleucine
4. Phenylalanine

Correct answer: 4. Phenylalanine

Explanation: The biochemical defect in maple syrup urine disease (MSUD) involves the alpha-keto acid decarboxylase complex. Plasma and urinary levels of leucine, isoleucine, valine, and their -keto acids and -hydroxy acids (reduced alpha-keto acids) are elevated, but the urinary ketoacids derive principally from leucine. Signs and symptoms of MSUD include often fatal ketoacidosis, neurological derangements, intellectual disability, and a maple syrup odor of urine. Ref: Rodwell V.W. (2011). Chapter 29. Catabolism of the Carbon Skeletons of Amino Acids. In D.A. Bender, K.M. Botham, P.A. Weil, P.J. Kennelly, R.K. Murray, V.W. Rodwell (Eds), Harper's Illustrated Biochemistry, 29e.